The following are related to prophylactic chemotherapy in molar pregnancy:
1. It may be given in 'at risk' patients
2. Multiple agents are preferred
3. Malignant sequelae becomes nil
4. Follow-up is not required

Correct answer: 1. It may be given in 'at risk' patients

Explanation: Ans. is a, i.e. It may be given in 'at risk' patientsRef. Dutta Obs. 7/e. p 196Prophylactic chemotherapy in H moleIs given only to high risk patients (as discussed earlier) and to not all patients following suction evaculation because these drugs are toxic and can increase the risk of premature ovarian failure and menopause.Monotherapy with methotrexate is prefered (not multiple agents).The use of prophylactic chemotherapy reduces the chances of developing choriocarcinoma but doest not make it nil.